Most important pyogenic Interleukin is?
1. IL-2
2. 1L-1
3. IL-6
4. IL-8

Correct answer: 2. 1L-1

Explanation: Ans. (b) 1L-1(Ref: J Infect Dis. (1999) 179 (Supplement 2): S294-S304. doi: 10.1086/513856, Harrison 18th ed:2666)Following cytokines are intrinsically pyrogenic in that they produce a rapid-onset fever by acting directly on the hypothalamus without the requirement for the formation of another cytokine:IL-1a,TNF-a,TNF-b,IFN-a,and IL-6.PLEASE NOTE: IL-18 of IL-1 family is not pyrogenic